Micelles are formed by:
1. Triacylglycerol in polar solvent
2. Amphipathic lipids in water
3. Triacylglycerol in gut
4. Cholesterol esters

Correct answer: 2. Amphipathic lipids in water

Explanation: Bile salts, when in high enough concentration in water, have the propensity to form micelles, which are small spherical, cylindrical globules 3 to 6 nanometers in  diameter composed of 20 to 40 molecules of bile salt. These develop because each bile salt molecule is composed of a sterol nucleus that is highly fat-soluble and a polar group that is highly water-soluble. The sterol nucleus encompasses the fat digestate, forming a small fat globule in the middle of a resulting micelle, with polar groups of bile salts projecting outward to cover the surface of the micelle. Because these polar groups are negatively charged, they allow the entire micelle globule to dissolve in the water of the digestive fluids and to remain in stable solution until the fat is absorbed into the blood.